Proximal covoluted tubules develops from ?
1. Mesonephric duct
2. Metanephric tubules
3. Mesonephric tubules
4. Ueric buds

Correct answer: 2. Metanephric tubules

Explanation: B i.e. Metanephric tubules